Tyrosinemics are more susceptible to develop:
1. Adenocarcinoma colon
2. Melanoma
3. Retinoblastoma
4. Hepatic carcinoma

Correct answer: 4. Hepatic carcinoma

Explanation: Ans:D.)Hepatic CarcinomaTyrosinemia type I, hepatocellular carcinoma occurs in children who survive beyond 2 yrs.TYROSINEMIA TYPE IThe disease is due to a deficiency in fumaryl- acetoacetate hydrolase.Accumulation of fumarylacetoacetate and its metabolites, particularly succinyl- acetone, in the urine.Characteristic cabbage-like odor occurs.Liver failure and renal tubular acidosis result.Treatment includes dietary restriction of phenylalanine and tyrosine, and substrate restriction using nitisinone.